Forward positioning of mandible in children and adults with an underlying skeletal class 2 relationship is called as:
1. Scissors bite.
2. Habitual bite.
3. Compensatory bite.
4. Sunday bite.

Correct answer: 4. Sunday bite.